Herpes zoster is commonly seen in –
1. Cervical region
2. Thoracic region
3. Lumber region
4. Geniculate ganglion

Correct answer: 2. Thoracic region